All are seen in association with reverse splitting of S2 except -
1. LBBB
2. Complete heart block
3. Systolic Hypertension
4. Aortic stenosis

Correct answer: 2. Complete heart block